Which of the following combinations of biologically active molecules does vitamin A consist of?
1. Retinol, retinal and retinoic acid
2. Retinol, retinal and tetrahydrofolate
3. Retinol, Iconjugase and retinoic acid
4. PABA, retinal and retinaldehyde

Correct answer: 1. Retinol, retinal and retinoic acid

Explanation: The term retinoids is often used to include the natural and synthetic forms of vitamin A Retinol, retinal and retinoic acid are regarded as vitamers of vitamin A. beta-Carotene (provitamin A): This is found in plant foods ref Satyanarayana 4th ed page 119